NADPH is produced by:
1. Glycolysis
2. Citric acid cycle
3. Hexose monophosphate shunt
4. Glycogenesis

Correct answer: 3. Hexose monophosphate shunt

Explanation: C i.e. Hexose monophosphate shunt